Incubation period of syphilis
1. 9-90 days
2. 9-18 days
3. 80-90 days
4. 10 days

Correct answer: 1. 9-90 days

Explanation: Ans. a (9-90 days). (Ref. Harrison, Principles of Internal Medicine, 18th /Chapter 169. Syphilis)SYPHILIS# T. Pallidum enters foetal circulation after 20th week of gestation with disappearance of cytotrophoblast in villi.0# Basic pathology is obliterative endarteritis.# Placenta becomes bulky and spirochaete can hardly be found in placenta.# Spirochaete can however be detected from maculopapular rash in baby.# Irrespective of the serology, treatment should be repeated in subsequent pregnancies.# Incubation period of syphilis is 9-90 days